Stain used for maturity assessment of amniotic fluid cells :
1. Leishman's stain
2. Sudan red
3. Nile blue sulfate
4. Congo red

Correct answer: 3. Nile blue sulfate

Explanation: Nile blue sulfate